Indication for lung transplantation is:
1. COPD
2. Alpha 1 antitrypsin deficiency
3. Cystic fibrosis
4. All of the above

Correct answer: 4. All of the above

Explanation: Ans. (d) All of the aboveRef: Sabiston 20th Page 1598Indications of lung transplantation* COPD* Pulmonary fibrosis* Primary pulmonary hypertension* Cystic fibrosis* Bronchiectasis